Precancerous lesions of GB are all except
1. Procelain GB
2. Typhoid carrier
3. ABPDJ
4. Biliary ascariasis

Correct answer: 4. Biliary ascariasis

Explanation: Risk factors for Carcinoma Gallbladder Gallstones >3cm Procelain gallbladder Anomalous pancreaticobiliary junction (APBDJ) Choledochal cysts Adenomatous polyps Primary sclerosing cholangitis Obesity Salmonella typhi infection Ref: Sabiston 20th edition Pgno :1510